Which is not supplied by pelvic splanchnic nerves
1. Rectum
2. Urinary bladder
3. Appendix
4. Uterus

Correct answer: 3. Appendix

Explanation: From there, they contribute to the innervation of the pelvic and genital organs. The nerves regulate the emptying of the urinary bladder, control opening and closing of the internal urethral sphinter, influence motility in the rectum as well as sexual functions like errection.They contain both preganglionic parasympathetic fibers as well as visceral afferent fibers. Visceral afferent fibers go to spinal cord following pathway of pelvic splanchnic nerve fibers. Ref - BDC 6r vol2 pg423